MIC hazard of chorionic villous biopsy is:
1. Limb abnormality
2. Spina bifida
3. Down's syndrome
4. Abortion

Correct answer: 4. Abortion

Explanation: Ans. is d, i.e. AbortionRef. Williams Obs. 23/e, p 300; Dutta Obs. 7/e, p 107It must be quite surprising for some you that why I have not marked option "a" i.e. Limb abnormality as the answer.This is because Williams Obs. 23/e, p 300 says--"Early reports of an association between CVS and limb reduction defects, oromandibular defects and cavernous hemangiomas have been disproved.When CVS is performed after 9 weeks, Kuliev and Colleagues (1996) reported the incidence of limb-reduction defects to be 6 per 10,000 - the same as the background incidence.The frequency of oromandibular limb hypogenesis however was increased after CVS when the procedure was performed before 9 weeks."Therefore, It can be concluded--M/C complication caused by CVS, if performed before 9 weeks is oromandibular and limb defects otherwise M/C complication of is CVS is increased chances of fetal loss (abortion).